All of the following causes coloured halos except
1. Corneal edema
2. Retinal degeneration
3. Foreign body
4. Steroids

Correct answer: 2. Retinal degeneration

Explanation: Halos can sometimes be a normal response to bright lights. Halos can also be caused by wearing eyeglasses or corrective lenses (contact lenses), or they can be a side effect of cataract or LASIK surgery. ... Thehalos are a result in diffraction of light entering your eye